An antihelmenthic drug that is effective against blood fluke, liver fluke, lung fluke and cysticercus is :
1. Albendazole
2. Praziquantal
3. Ivermectin
4. Thiabendazole

Correct answer: 2. Praziquantal